True about silent mutation in genea) No change in mRNAb) No change in Amino acid sequence in proteinc) No expression of proteind) No change in expression of proteine) Termination of protein synthesis
1. c
2. bd
3. ab
4. ac

Correct answer: 2. bd

Explanation: In silent mutation, codon containing the changed base codes for the same amino acid (as original codon). Thus there is no change in expression of protein.